Medial branch of external carotid artery -
1. Ascending pharyngeal A
2. Occipital A
3. Maxillary A
4. All of the above

Correct answer: 1. Ascending pharyngeal A

Explanation: Ans. is 'a' i.e., Ascending pharyngeal A Branches of external carotid arteryFrom medial sideAscending pharyngealFrom frontSuperior thyroid arteryLingual arteryFacial arteryFrom behindOccipital arteryPosterior auricular arteryTerminal branchesSuperficial temporal arteryMaxillary artery